Structures present at the lateral wall of cavernous sinus are all EXCEPT:
1. Maxillary nerve
2. Ophthalmic nerve
3. Trochlear nerve
4. Optic nerve

Correct answer: 4. Optic nerve

Explanation: ANSWER: (D) Optic nerveREF: Grays anatomy 39m edition page 277 CAVERNOUS SINUS:The cavernous sinus is a large venous plexus that lies on both sides of the body of the sphenoid bone. The sinus extends from the superior orbital fissure to the apex of the petrous temporal bone, with an average length of 2 cm and width of 1 cm.i. Tributaries of the cavernous sinus are the superior ophthalmic vein, a branch from the inferior ophthalmic vein (or sometimes the wrhole vessel), the superficial middle cerebral vein, inferior cerebral veins and sphenoparietal sinus. The central retinal vein and frontal tributary of the middle meningeal vein sometimes drain into it.ii. Contents:* Carotid artery* Sympathetic chain* Abducens nerveiii. Lateral wall:* Uncus of the temporal lobe* Oculomotor nerve* Trochlear nerve* Ophthalmic nerve* Maxillary nerve